The umbilicus is supplied by which spinal segment?
1. T4
2. T6
3. T8
4. T10

Correct answer: 4. T10

Explanation: ■ The skin around umbilicus is supplied by T10 segment of cord.
■ With reference to lymphatics and venous drainage, it is the watershed area. Educational point:
■ Dermatomes over:
-  The xiphoid process-T7
-  The umbilicus-T10
-  The pubis-L1
■ The remnant of the vitello-intestinal duct may form a tumor of umbilicus known as raspberry /cherry red tumor.